Earliest sign seen in Acoustic neuroma is-
1. Facial weakness
2. Unilateral deafness
3. Reduced corneal reflex
4. Cerebellar signs

Correct answer: 3. Reduced corneal reflex

Explanation: Remember: